The mesentery of the small intestine, along its attachment to the posterior abdominal wall, crosses all of the following structures except -
1. Left gonadal vessels
2. Third part of duodenum
3. Aorta
4. Right ureter

Correct answer: 1. Left gonadal vessels

Explanation: Attached border of mesentery (the root of mesentery) crosses -


Third (horizontal) part of the duodenum
Abdominal aorta
IVC
Right ureter
Right psoas major